Target BP before thrombolysis in ischemic stroke is below
1. 185/110 mmHg
2. 165/100 mm Hg
3. 145/100 Hg
4. 120/80 mm Hg

Correct answer: 1. 185/110 mmHg

Explanation: Ans. is 'a' i.e., 185/110 mm Hg